Which of the following are goals of orthognathic surgery?
1. To improve facial esthetics
2. To shorten orthodontic treatment time
3. To improve orthodontic treatment results
4. All of the above

Correct answer: 4. All of the above

Explanation: The goals of ortho esthetics are:

To improve facial esthetic and self-image of patient.
To shorten orthodontic treatment time and improve orthodontic treatment results.
To improve PDL stability and prognosis.
To correct jaw relationships prior to major restorative procedure.